Which is not true about cranial dura mater?
1. It has endosteal and meningeal layers
2. It is supplied by 5th cranial nerve
3. It is the outermost meningeal layer
4. Dural venous sinuses are present inner to the meningeal layer

Correct answer: 4. Dural venous sinuses are present inner to the meningeal layer

Explanation: The periosteal and meningeal layers split to enclose the dural venous sinuses. (Ref: Vishram Singh textbook of clinical neuroanatomy second edition pg 187)